Following constitute dietary fibers except
1. Pectin
2. Cellulose
3. Hemicellulose
4. Riboflavin

Correct answer: 4. Riboflavin

Explanation: Ans. (d) Riboflavin(Ref: Guyton, 13th ed/p.842)Classification of dietary fibersWater insoluble/less fermentedWater soluble/well fermented* Cellulose* Pectins* Hemicellulose* Gums* Lignin* Mucilages